QRS complex indicates-
1. Atrial repolarization
2. Atrial depolarization
3. Ventricular repolarization
4. Ventricular depolarization

Correct answer: 4. Ventricular depolarization

Explanation: Answer is D (Ventricular depolarisation) QRS complex is due to ventricular depolarization Q